The Finnish type of congenital nephritic syndrome occurs due to gene mutations affecting the following protein:
1. Podocin
2. Alpha-actinin
3. Nephrin
4. CD2 activated protein

Correct answer: 3. Nephrin

Explanation: Congenital nephrotic syndrome of the Finnish type (CNF) is caused by mutations in NPHS1, encoding the slit-diaphragm and podocin-associated protein nephrin. Ref: Robbins Pathologic Basis of Disease, 7th Edition, Pages 983-4; Genetic Diseases of The Kidney By Richard P. Lifton, Stefan Somlo, Gerhard H. Giebisch, 2008, Page 115